A hypertensive individual had a sudden headache and became unconscious within a few minutes. On regaining consciousness, there was complete flaccid hemiplegia with no involvement of upper face, absence of tendon reflexes and a positive Babinski sign. Which one of the following arteries could have ruptured -
1. Lateral striate branch of middle cerebral
2. Medial striate branch of anterior cerebral
3. Posterolateral branch from posterior cerebral
4. Posterior choroidal branch of posterior cerebral

Correct answer: 1. Lateral striate branch of middle cerebral